Ideal timing for elective repeat LSCS (ERCS) for a patient of previous 1 LSCS, without any other complicating factor would be?
1. 37 weeks
2. 38 weeks
3. 39 weeks
4. At onset of labour

Correct answer: 3. 39 weeks

Explanation: Risk of perinatal death with ERCS (Elective Repeat Caesarean section) is extremely low but there is a small increase in perinatal respiratory morbidity, when ERCS is performed before 39 weeks. This morbidity can be reduced with pre op steroids.